Green discharge is most commonly seen with
1. Duct papilloma
2. Duct ectasia
3. Retention cyst
4. Fibro adenosis

Correct answer: 2. Duct ectasia

Explanation: A black or green discharge is usually the result of duct ectasia and its complications. Ref: Bailey and love 27th edition Pg no : 864